Family of Toll-like receptors (TLRs) are?
1. Most important for oncogene activation by virus and plays important role in cancer
2. Essential for glucose homeostasis
3. Most important for entry of retrovirus into the immune cells
4. Most important receptors for microbial products to initiate acute inflammation

Correct answer: 4. Most important receptors for microbial products to initiate acute inflammation

Explanation: Toll-like receptors (TLRs) are a class of proteins that play a key role in the innate immune system. They are single, membrane-spanning, non-catalytic receptors usually expressed on sentinel cells such as macrophages and dendritic cells, that recognize structurally conserved molecules derived from microbes.They are the Most important receptors for microbial products to initiate acute inflammation. Ref - Harrison's internal medicine 20e p1067,2511